Patient with a metallic foreign body in eye, which investigation is not done.
1. MRI
2. USG
3. X-ray
4. CT

Correct answer: 1. MRI

Explanation: A i.e. MRI